Which of the following tumor suppressor genes act by inhibition of Hedgehog signaling pathway?
1. PTCH
2. SDHB
3. BRCA1
4. CDKN2A

Correct answer: 1. PTCH

Explanation: Tumor suppressor genes and associated Familial Syndromes and Cancers -PTCH:-Gene acts by inhibiting Hedgehog signaling pathway Patched protein Causes:- Gorlin syndrome (BCC, Medulloblastoma,severe benign tumor) -SDHB:-Inhibitors of "Pro-growth" programs of Metabolism and Angiogenesis Succinate dehydrogenase complex subunits B and D Causes:-Familial paraganglioma, familial pheochromocytoma -CDKN2A:-Inhibitors of cell cycle progression, causes Familial melanoma -BRCA1:-DNA Repair factors, causes Familial breast and ovarian carcinoma; carcinomas of male breast